Oniomania is related to?
1. Shopping
2. Cellular phone use
3. Internet use
4. Self mutilation

Correct answer: 1. Shopping

Explanation: Ans. is 'a' i.e., Shopping * Oniomania is compulsive buying/shopping.